Citron bodies are formed by
1. Clostridium welchii
2. Clostridium oedematiens
3. Clostridium septicum
4. Clostridium histolyticum

Correct answer: 3. Clostridium septicum

Explanation: Clostridium septicum: form citron bodies, boat or leaf-shaped polymorphic bacilli. Motile by peritrichous flagella. Saccharolytic and produce abundant gas. Produce alpha, beta, delta and gamma toxin. Gas gangrene or malignant edema are characteristic Reference: Textbook of Microbiology; Anathanarayan and paniker's; 10th edition; Page no: 260